Romana's sign occur in -
1. Babesiosis
2. Leishmaniasis
3. Trypanosomiasis
4. Schistosomiasis

Correct answer: 3. Trypanosomiasis

Explanation: Entry of T.cruzi through conjunctiva Patient develops painless unilateral oedema and conjunctivitis It is known as Romana,a sign ( refer pgno:50 baveja 3 rd edition)